Which of the following is the test for immediate
1. Serial (100-7) subtraction test up to 5 steps
2. Digit span forward up to 7 digits with 2 skips allowed
3. Digit span backwards upto 5 digits with 2 skips allow ed
4. Serial (20-1) subtraction test up to 5 steps

Correct answer: 2. Digit span forward up to 7 digits with 2 skips allowed

Explanation: Ans. b. Digit span forward up to 7 digits with 2 skips allowedTest for immediate memory is digit span forward up to 7 digits with 2 skips allowed."Digit span forward is a good test of attention, concentration, and immediate memory. The examiner gives the patient a series of numbers of increasing length, beginning with 3 or 4, at a rate of about one per second; the patient is asked to repeat them. The numbers should be random, nor following any identifiable pattern, for example, a phone number. Backward digit span, having the patient repeat a series of numbers in reverse order, is a more complex mental process that involves working memory; it requires the ability to retail, and manipulate the string of numbers. Expected performance is 7 +- 2 forward and 5 +- I backward. Reverse digit span should not be more than two digits less than the forward span. Forward digit span is also a test of repetition and may be impaired in aphasic patients. Another test of attention and concentration is a three-step task. For instance, tear a piece of paper in half, then tear half of it in half then tear one half in half again, so that there are three different sizes. Give the patient an instruction such as, "Give the large piece of paper to me, put the small piece on the bed, and keep the other piece." Another multistep task might be, "Stand up, face the door, and hold out your arms."-